"Westermark sign" is seen in:
1. Pneumomediastinum
2. Pulmonary adenocarcinoma
3. Pulmonary embolism
4. Pancoast syndrome

Correct answer: 3. Pulmonary embolism

Explanation: "Westermark Sign" is focal oligemia seen distal to arterial block, on chest X-ray.